Primary amenorrhoea with anosmia is seen in:
1. Kallman syndrome
2. Laurence Moon Biedl syndrome
3. Foster - Kennedy syndrome
4. Sheehan's syndrome

Correct answer: 1. Kallman syndrome

Explanation: Here I would like to point out that in solving PGMEE Questions of previous years, it is not only important to know the correct answer with its details, it is equally important to know the details of incorrect options (as Questions might be asked on these incorrect options in future).
So, let’ s know:
Laurence Moon Biedi Syndrome
It is an autosomal recessive disorder characterized by GnRH deficiency (hypogonadism) (FSH < 40 mIU/ml) and associated with:

Obesity
Intellectual disability
Polydactyly
Retinitis Pigmentosa

Sheehan’s syndrome: described in detail earlier
Foster Kennedy Syndrome: Do not get confused with this option: It is the same Foster Kennedy Syndrome as you have read in Ophthalmology, characterized by papilloedema in one eye and optic atrophy in the other. It results from raised intracranial pressure and simultaneous optic nerve compression secondary to tumor - classically, a meningioma of the olfactory groove, or more commonly, due to meningioma of the sphenoid wing.